Oxalate crytals in urine is seen in -
1. Ethylene glycol poison
2. Di glycol poison
3. Alcohol
4. Indivavir

Correct answer: 1. Ethylene glycol poison

Explanation: Oxalate crystals in urine is seen with Ethylene Glycol poisoning. Renal pain and acute tubular necrosis in it, occurs due to renal calcium oxalate precipitation. Other features includes, opthalmoplegia, cranial nerve palsies, hyporeflexia and myoclonus Reference: Harrison20th edition pg pg 789